Fixed performance device is
1. Ventury mask
2. Nasal cannula
3. Simple mask
4. Non rebreathing mask

Correct answer: 1. Ventury mask

Explanation: venturi mask is a device used to deliver designated oxygen concentration to patients on controlled oxygen therapy. It is designed with wide bore tubes with various colour adapters. Each colour code responds to the precise oxygen concentration and specific litre flow.